Which cooking oil bast most PUFA?
1. Safflower oil
2. Coconut oil
3. Butter
4. Vanaspati

Correct answer: 1. Safflower oil

Explanation: Ans. is 'a' i.e., Safflower oil